Indicator of moderate to severe malnutritions is -
1. Serum transferrin 160
2. Body mass index 19
3. Albumin 2.1 g/dl
4. Transthyretin

Correct answer: 3. Albumin 2.1 g/dl

Explanation: Ans. is 'c' i.e., Albumin 2.1 g/dI